An old woman is required to receive 4 cycles of cancer chemotherapy. After her first cycle, she developed chemotherapy-induced thrombocytopenia. Then in the next cycle, it would be appropriate to give this patient :
1. Darbepoetin alpha
2. Filgrastim (G-CSF)
3. Iron dextran
4. Oprelvekin (IL-11)

Correct answer: 4. Oprelvekin (IL-11)

Explanation: Oprelvekin acts like megakaryocyte colony stimulating factor and can be used to treat and prevent chemotherapy-induced thrombocytopenia.
Filgrastim (G-CSF) and sargramostim (GM-CSF) are used to prevent leucopenia.